Most common breech presentation is?
1. Right sacroanterior
2. Left sacroanterior
3. Right sacroposterior
4. Left sacroposterior

Correct answer: 2. Left sacroanterior

Explanation: Left sacroanterior REF: Dutta 6th ed p. 376 Most common position in breech presentation is left sacroanterior > right sacroanterior.